Sicca syndrome is associated with all, Except :
1. Midline granuloma
2. Chronic active hepatitis
3. Rheumatoid arthritis
4. Scleroderma

Correct answer: 1. Midline granuloma

Explanation: Answer is A (Midline granuloma): Midline granuloma has no association with Sjogren Syndrome (Sicca Syndrome) As a result of its tendency to cause 'dryness' Sjogren's syndrome is often referred to as `Sicca' syndrome. Being an autoimmune disorder this disorder is associated with a number of other disorders of autoimmune origin. Rheumatoid arthritis, chronic active hepatitis and scleroderma are known autoimmune disorders that are often associated with Sjogren Syndrome. These include: Autoimmune disorders associated with Sjogren's syndrome: -Rheumatoid arthritis (most common)Q - Chronic active hepatitis - SLE Q -Polymyositis - SclerodermaQ -Hashimoto's thyToditis Mixed connective tissue disease Q -Interstitial pulmonary fibrosis. Primary biliary cirrhosis Q - Sarcoidosis. - Vasculitis What puzzles the question? Sjogren is syndrome occurs as two types. Primary form (Sicca syndrome)- when it occurs as an isolated disorder. Secondary form - when it occurs in association with other autoimmune disease. In the true sense it is not Sicca syndrome but the secondary form with which autoimmune disorders are associated. Nevertheless Midline granuloma remains the single best answer of exclusion.